In Parvovirus in fection what is common in adult-
1. Bone marrow aplasia
2. PRCA
3. Erythema infectiosum
4. Arthropathy

Correct answer: 4. Arthropathy

Explanation: erythema infectiosum followed by lymphadenopathy&arthralgia REF:ANATHANARAYANAN MICROBIOLOGY NINTH EDITION PAGE.554